Anal coitus with opposite sex is -
1. Bestiality
2. Sodomy
3. Sin of Gomorrah
4. Fellatio

Correct answer: 2. Sodomy

Explanation: Ans. is 'b' i.e., Sodomy o Anal intercourse between two males or between a male and female is called sodomy. It is called sodomy as it used to be practiced in a town called sodomy.